Upon airway examination, if only soft palate and hard palate is visible. Where will you place this in modified mallampatti classification?
1. Class 1
2. Class 2
3. Class 3
4. Class 4

Correct answer: 3. Class 3

Explanation: Mallampati classification: Class I: The entire palatal arch, including the bilateral faucial pillars, are visible down to their bases. Class II: The upper part of the faucial pillars and most of the uvula are visible. Class III: only the soft and hard palates are visible. Class IV: only the hard palate is visible.